Linitis plastica is a type of
1. Plastic like lining of stomach
2. Diffuse carcinoma of stomach
3. Benign ulcer
4. GIST

Correct answer: 2. Diffuse carcinoma of stomach

Explanation: According to Lauren classification, gastric cancers are two types- intestinal and diffuse type. Intestinal type Diffuse type Gross: Tumors are bulky, composed of glandular structures similar to esophageal and colonic adenocarcinoma. Present with heaped up borders and central ulceration. Gross: Infiltrative tumor which evokes a desmoplastic reaction that stiffens the gastric wall and may cause rugal flattening and a rigid, thickened wall that imparts " Leather bottle" appearance called lintis plastica. Microscopy: neoplastic cells contain mucin vacuoles, abundant mucin present in the gland lumina. Microcopy: Signet ring cells with large cytoplasmic mucin vacuoles & peripherally displaced crescent shaped nuclei REF: TEXT BOOK OF ROBBINS BASIC PATHOLOGY NINTH EDITION PAGE .570 IMAGE REF: TEXT BOOK OF ROBBINS BASIC PATHOLOGY NINTH EDITION. FIG.14-16, PAGE:571